The first human protein produced by rDNA technology:
1. Insulin
2. Growth hormone
3. Albumin
4. Casein

Correct answer: 1. Insulin

Explanation: The first human protein produced by rDNA technology is Insulin. Production of recombinant Insulin: NOTE: Gene coding for insulin is localized on 11p15 site of chromosome.